Hutchinson's triad consists of Hutchinson's teeth, 8th nerve deafness and-
1. Interstitial keratitis
2. Saddle nose
3. Clutton's joints
4. Sabre tibiae

Correct answer: 1. Interstitial keratitis

Explanation: Hutchinson's triad. : a triad of symptoms that comprises Hutchinson's teeth, interstitial keratitis, and deafness and occurs in children with congenital syphilis Hutchinson's teeth (centrally notched, widely spaced, peg-shaped upper central incisors) Ref - Harrisons 20e p1283